CA - 125 is a tumor marker for:
1. Carcinoma ovary
2. Carcinoma endometrium
3. Carcinoma vagina
4. Carcinoma cervix

Correct answer: 1. Carcinoma ovary